Most satisfactory method of refuse disposal is:
1. Dumping
2. Controlled tipping
3. Incineration
4. Manure pits

Correct answer: 2. Controlled tipping

Explanation: Refuse disposal: Sanitary landfill (Controlled tipping) laying of dry & condensed refuse in layers with inverting earth partitions & covering, followed by mechanical compression (most satisfactory method when suitable land is available). Trench method Ramp method Area method